The condition with postmortem cervical disc prolapse at C 6-7 is described as -
1. Battle's sign
2. Amistane sign
3. Nutcracker's sign
4. Undertaker's fracture

Correct answer: 4. Undertaker's fracture

Explanation: The Essentials Forensic Medicine & Toxicology Dr.K.S. Narayana Reddy 32nd edition pg no 106 UNDERTAKER'S FRACTURE is caused due to the head falling backward faorcibly after death,which tears open one of the intervertebral disc usually around C6-7 due to sublaxation of lower cervical spine occurs.